Drug not acting on neuromuscular junction is:
1. Baclofen
2. carisoprodol
3. Haloperidol
4. All of the above

Correct answer: 4. All of the above

Explanation: Essentials of medical pharmacology, seventh edition, page no=357 Answer is option 4,all the above Since carisoprodol, baclofen, and haloperidol are centrally acting muscle relaxants. These are drugs which reduce skeletal muscle tone by a selective action in the cerebrospinal axis without altering consciousness.